Compartment syndrome is treated by
1. Fasciotomy
2. Bicarbonate
3. Chloride rich fluid
4. Early aggressive fluid

Correct answer: 1. Fasciotomy

Explanation: A i.e. Fasciotomy